True about Peutz-Jegher's syndrome:
1. Pigmentary changes in skin and mucous membrane around mouth
2. Adenomatous polyp in intestine
3. Most common of pattern inheritance is autosomal recessive
4. 20-30% premalignant

Correct answer: 1. Pigmentary changes in skin and mucous membrane around mouth

Explanation: Peutz Jegher Syndrome: Autosomal dominant Characterized by mucocutaneous pigmentation and extensive GI hamartomatous polyposis Life time risk of cancer- 47-93%